Fetal anemia is detected on Doppler of:
1. Uterine artery
2. Umbilical artery
3. Middle cerebral artery
4. Any of the above

Correct answer: 3. Middle cerebral artery

Explanation: Ans. is c, i.e. Middle cerebral arteryRef. Williams 23/e, p 362, 363As discussed in the text:Doppler of Middle cerebral artery is used to detect.(i). Fetal anemia as in Rh isoimmunization, vasa previa and TTTS(ii). IUGR